The principal polypeptide that increase food intake are the following except -
1. Neuropeptide-Y
2. Leptin
3. Orexin-A
4. B-endophrin

Correct answer: 2. Leptin